First evidence of calcification of maxillary permanent central incisors occurs at:
1. 3-4 months
2. 10-12 months
3. 2-3 years
4. 3-4 years

Correct answer: 1. 3-4 months